Most common cause of neuropathic joint:
1. Diabetes
2. Amyloidosis
3. Syphilis
4. Leprosy

Correct answer: 1. Diabetes

Explanation: Ans: a (Diabetes) Ref: Harrison, 16th ed, p. 2060; 17th ed, p. 2180Most common cause of neuropathic joint is diabetesNeuropathic joint (Charcot joint)It is a progressive destructive arthritis associated with loss of pain sensation, proprioception or both.Clinical featuresIt begins as a single joint and then progresses to involve other joints. Swelling is present, loose bodies may be palpated.Joint becomes unstable and subluxation may occur. The amount of pain experienced by the patient is less than that would be anticipated based on the degree of joint involvement.Causes of Charcot jointDiabetes mellitusTabes dorsalisMeningomyelocoele or syringomyeliaAmyloidosisLeprosyPeroneal muscular atrophyCommonly involved joints in various diseasesDiabetes mellitus: Tarsal and metatarsal jointsTabes dorsalis: Knee, hips and anklesSyringomyelia: Glenohumeral joint, elbow and wrist